The recommended content of Iodine in salt at the consumer level is -
1. 10ppm
2. 15 ppm
3. 20ppm
4. 30ppm

Correct answer: 2. 15 ppm

Explanation: Ans. is 'b' i.e., 15 ppm o In India the level of iodization is fixed under the Prevention of food adulteration (PFA) act and is not less than 30 ppm at the production point and not less than 15 ppm of iodine at the consumer level.